Which of the following statements is true of hereditary spherocytosis -
1. About 50% of affected infants have moderately severe neonatal jaundice
2. Diagnosis can be made in neonatal period easily by examination of a blood film
3. Infra vascular hemolysis is a common feature
4. The disorder is usually due to autosomal recessive inheritance

Correct answer: 1. About 50% of affected infants have moderately severe neonatal jaundice

Explanation: Jaundice occurs due to increased concentration of unconjugated bilirubin in the plasma . congenital hemolytic jaundice. It is a autosomal dominant hereditary hemolytic anaemia